Cornea gets its nourishment mainly from:
1. Atmosphere
2. Aqueous humour
3. Vitreous humour
4. Corneal vessels

Correct answer: 2. Aqueous humour

Explanation: Ans. B: Aqueous humourCornea consists of five layers, starting from the outside: (1) the stratified squamous epithelium; (2) Bowman's layer; (3) the stroma (substantia propria); (4) Descemet's membrane; and (5) the endothelium.The cornea is avascular, receiving its nourishment by permeation through spaces between the lamellae. The sources of nourishment are the aqueous humour (90%), the tears and the limbal capillaries.The cornea is innervated by the long ciliary and other nerves of the surrounding conjunctiva, which are all branches of the ophthalmic division of the trigeminal nerve. Innervation is entirely sensory.